Minor connector may be
1. of Lattice work construction
2. of mesh construction
3. bead or nail head construction
4. All of the above

Correct answer: 4. All of the above